Which of the following is not used in the management of thyroid storm?
1. Potassium iodide
2. Reserpine
3. Propranolol
4. Calcium channel blockers

Correct answer: 2. Reserpine

Explanation: Ans. is 'b' i.e., Reserpine Thyroid storm (thyrotoxic crisis)o It is an emergency due to decompensated hyperthyroidism,o Treatment includesNon-seleetlve b-blockerIt is the most valuable measure in thyroid storm.In thyroid storm most of the symptoms are because of adrenergic overactivity due to increased tissue sensitivity to catecholamines in hyperthyroidism.This increased sensitivity is due to increased number of b-receptors.So, quick relief can be obtained by blocking b-receptors.ProphythiouracilIt is the antithyroid drug of choicefor thyroid storm because it reduces hormone synthesis as well as peripheral conversion of T4 to T3.Note: Prophylthiouracil is the DOC amongst antithyroid drugs, but the DOC for thyroid storm is b-blockers.Corticosteroid (Hydrocortisone)It inhibits both release of thyroid hormone from the gland and peripheral conversion of T4 to T3.Iodides (Potassium iodide or ipanoic acid)They are used to inhibit further hormone release from the gland.Diltiazem (a calcium channel blocker) may be added if tachycardia is not controlled by propranolol alone.Rehydration, anxiolytics, external cooling and appropriate antibiotics are the other measures.